The venom of krait is
1. Myotoxic
2. Cardiotoxic
3. Hemotoxic
4. Neurotoxic

Correct answer: 4. Neurotoxic

Explanation: Ans. (D). Neurotoxic(Ref: Review of Forensic Medicine and toxicology; Gautum Biswas; 2nd edition; Pg-527)Elapidae - NeurotoxicQ venomViperidae - VasculotoxicQ venomHydrophidae - MyotoxicQ venom